Trigger finger occurs in -a) Rheumatoid athritisb) Traumac) Osteosarcomad) Osteoarthritis
1. ac
2. ab
3. ad
4. bc

Correct answer: 2. ab

Explanation: More common in people with certain medical problems, e.g. Diabetes, Rheumatoid arthritis, Gout, renal disease, Collagen vascular diseases, Dupuytren's disease.
Local trauma is a risk factor
Activities with power grip causes shearing edges of the Al pulley (Pulley of flexor tendon at metacarpophalangeal joint)
Recent surgery